Ablett classification is used for grading
1. Hidradenitis suppurativa
2. Tetanus
3. Pyogenic abscess
4. Pyogenic granuloma

Correct answer: 2. Tetanus

Explanation: Ablett classification grades severity of tetanus.